A new born child has not passed meconium for 48hrs. What is the diagnostic procedure of choice?
1. USG
2. Contrast enema
3. CT
4. MRI

Correct answer: 2. Contrast enema

Explanation: Failure to pass meconium in the first 2 days of life (48 hours) is suggestive of a lower GI tract obstruction such as Hirschprung disease, meconium plug syndrome or anorectal malformation. Ref: Paediatrics: Just The Fact's By Green, Franklin, 2004, Pages 114-15; Practical Paediatrics By Robinson, Robeon, 2003, Page 228